Tadpole cells comma shaped cells on histopathology are seen in
1. Trichoepithelioma
2. Spideroma
3. Rhabdomyosarcoma
4. Histiocytoma

Correct answer: 3. Rhabdomyosarcoma

Explanation: Rhabdomyosarcoma is the most common soft tissue sarcoma of childhood and adolescence. Rhabdomyosarcoma is histollogically subclassified into embryonal, alveolar, and pleomorphic variants. The rhabdomyoblast is the diagnostic cell in all types. The rhabdomyoblast may be round or elongated, the later are called tadpole or strap cells. Robbins basic pathology 9th edition page no 795,heading=Skeletal muscle tumors. Morphology box Option is 3,Rhabdomyosarcoma ref img